Transfer of an amino group from an amino acid to an alpha-keto acid is done by
1. Transaminases
2. Oxidases
3. Transketolases
4. Deaminases

Correct answer: 1. Transaminases

Explanation: Transamination is a reversible reaction in which a-NH2 group of one amino acid is transferred to an a-ketoacid resulting in the formation of a new amino acid and a new ketoacid.Ref: Textbook of medical biochemistry, MN Chatterji, 8th edition, page no: 474